For karyotyping, the dividing cells are arrested by the addition of colchicines in the following mitotic phase:
1. Telophase
2. Metaphase
3. Anaphase
4. Prophase

Correct answer: 2. Metaphase

Explanation: Colchicine is used during karyotyping to arrest the cell in metaphase In metaphase , all chromosomes lie at the equator